Which among the following is an intra-capsular tendon ?
1. Anconeus
2. Semitendinosus
3. Semimembranosus
4. Popliteus

Correct answer: 4. Popliteus

Explanation: Popliteus has an intracapsular origin from the lateral femoral epicondyle. It inserts on the posterior surface of the tibia, just proximal to the soleal line. Popliteus tendon is intracapsular but Extra-articular and Extra-synovial. Tendon of Long head of Biceps brachii is intracapsular and intra-articular but extra-synovial.